In congenital dystrophic variety of epidermolysis bullosa, mutation is seen in the gene conding for
1. Laminin 4
2. Co11agen type 7
3. Alpha 6 integerin
4. Keratin 14

Correct answer: 2. Co11agen type 7

Explanation: Dystrophic epidermolysis bullosa - collagen type VII Epidermolysis bullosa simplex -keratin 14 Junctional epidermolysis bullosa is an inherited disease affecting laminin and collagen . page no. 287. Reference IADVL's concise textbook of dermatology